The membranous part of the atrio ventricular part of interventricular septum is between?
1. RA & LV
2. LV & RV
3. RA & RV
4. LA & LV

Correct answer: 1. RA & LV

Explanation: A i.e. RA & LV